A 45 year old lady presented with painless neck swelling since 3months associated with loss of weight and fever.
FNAC of the same showed a polymorphous population of lymphocytes, cosinophils, plasma cells and large binculeate cells with nucleus having Owl-eye appearance. What is your diagnosis
1. Nodulor sclerosis
2. Mixed cellulority
3. Lymphocyte rich
4. Lymphocute - depleted.

Correct answer: 2. Mixed cellulority

Explanation: Microscopy of mixed celleclority classical hodgkin contain plenry of Reed - stern berg cells and Hodgkins cells.
Background - Small lymphocytes, cosinoptils, neutrophils plasma cells and benign macrophages (Histriocytes)